Which of the following is not included in the 'SAFE' strategy in prevention of trachoma?
1. Supplementation of vitamins
2. Antibiotics
3. Face washing
4. Improvement of the environment

Correct answer: 1. Supplementation of vitamins

Explanation: Elimination of trachoma will depend on global implementation of WHO's SAFE strategy (Surgery for trichiasis, Antibiotic treatment, Face washing, and Environmental changes such as latrine building). Prevention of spread of infection will require provision of proper sanitary facilities, including clean water for drinking and washing, waste disposal, fly control, and behavioral change in hygiene. Ref: Pirbhai A., Kent S.S., Hodge W.G. (2011). Chapter 20. Causes and Prevention of Vision Loss. In P. Riordan-Eva, E.T. Cunningham, Jr. (Eds), Vaughan & Asbury's General Ophthalmology, 18e.